The superior vesical arteries are direct branches of the
1. Internal iliac artery
2. Umbilical artery
3. Internal pudendal artery
4. External pudendal artery

Correct answer: 2. Umbilical artery

Explanation: The umbilical artery is a branch of the internal iliac artery. In the fetus, the umbilical artery passes over the bladder and continues up the anterior body wall to the umbilical cord and out to the placenta. As it passes the bladder, it gives rise to the superior vesical arteries. After birth, the part of the artery distal to the bladder becomes fibrous, but the proximal part remains patent and continues to supply the bladder.